Essential medicines are those medicines:
1. That are needed to treat emergency conditions
2. That are needed to treat serious diseases
3. That satisfy the priority health care needs of the population
4. That are introduced recently into the market

Correct answer: 3. That satisfy the priority health care needs of the population